In smokers the incidences of periodontal disease are:
1. 2-6 times
2. 6-10 times
3. 10-14 times
4. No effect

Correct answer: 1. 2-6 times